IT Based TB monitoring
1. e DOTS
2. Nischay
3. Nikshay
4. Ujjwala

Correct answer: 3. Nikshay